Human is dead end host for
1. Malaria
2. Typhoid
3. Bubonic plague
4. Filaria

Correct answer: 3. Bubonic plague

Explanation: A dead end host is an infected person from which infectious agents are not transmitted to other susceptible host or from which a parasite cannot escape to continue its life cycle.
 The diseases in which human acts as dead end host, i.e., dead and disease : -

1. Japanese encephalitis
3. Trichinosis
5. Bubonic plaque
2. Echinococcosis (hydatid disease)
4. Tetanus